Which of the following is the basis for referred pain?
1. Visceral pain signals and pain signals from the skin synapse with separate populations of neurons in the dorsal horn
2. Visceral pain transmission and pain transmission from the skin are received by a common set of neurons in the thalamus
3. Visceral pain signals are rarely of sufficient magnitude to exceed the threshold of activation of dorsal horn neurons
4. Some visceral pain signals and pain signals from the skin provide convergent input to a common set of neurons in the dorsal horn

Correct answer: 4. Some visceral pain signals and pain signals from the skin provide convergent input to a common set of neurons in the dorsal horn

Explanation: Visceral pain fibers provide input to anterolateral tract cells that also receive somatic pain from the skin surface. The convergence of these two types of pain signals onto single spinal cord neurons is the basis for referred pain.